Number of live birth/1000 women of reproductive age group in one year is-
1. Age specific fertility rate
2. Gross reproduction rate
3. Total fertility rate
4. General fertility rate

Correct answer: 4. General fertility rate

Explanation: .general fertility rates is the number of live births per 1000 woman in the reproductive age group in a given year.it is a better measure of fertility than the crude birth rate because the denominator is restricted to the number of women in the child bearing age,rather than the whole population.the major weakness of this rate is that not all women in the denominator are exposed to the risk of childbirth. ref:park's textbook,ed 22,pg no 430